In complete mullerian duct aplasia all of the following are likely to be absent except:
1. Ovaries
2. Fallopian tubes
3. Uterus
4. Vagina

Correct answer: 1. Ovaries

Explanation: Ovaries develop from gonadal ridge Fallopian tubes, Uterus and upper third of vagina develops from Mullerian ducts Lower third of vagina from urogenital sinus SHAW'S TEXTBOOK OF GYNAECOLOGY, pg no;94,15th edition